Marbling is noticed by
1. 18 hours
2. 24 hours
3. 36 hours
4. 48 hours

Correct answer: 3. 36 hours

Explanation: Ans. (c) 36 hours.